Which of the following is not a tumor marker:
1. CEA
2. Tyrosinase
3. Human leucocyte antigen A2
4. AFP

Correct answer: 3. Human leucocyte antigen A2

Explanation: Human leucocyte antigen A2 REF: Harper biochemistry 25th edition page 809, (American cancer society) http://www.cancer. org/acs/groups/cid/documents/webcontent/003189-pdf.pdf, http://en.wikipedia.org/wiki/Tumor_antigen, See APPENDIX-26 for list of "Tumor markers" A tumor marker is a substance found in the blood, urine, or body tissues that can be elevated in cancer, among other tissue types. An elevated level of a tumor marker can indicate cancer; however, there can also be other causes of the elevation. Tumor markers can be used in a number of ways. Screening and early detection of cancer Diagnosing cancer (CA 125 for ovarian cancer, AFP for liver cancer) Determining prognosis for certain cancers Staging the extent Monitoring the treatment Detecting recurrence